CD4 is marker of
1. Monocyte
2. Tcell
3. Bcell
4. None

Correct answer: 2. Tcell

Explanation: Ref Robbins 7/e p670;9/e p191 There are 4 main types of T cells. CD4+ Helper Cells. CD4+ helper cells help in the maturation of B cells into plasma cells and memory B cells. ... CD8+ Cytotoxic Cells. CD8+ cytotoxic cells cause lysis of virus-infected and tumour cells. ... Memory T Cells. ... Natural Killer T Cells.